Which of the following is seen in African children with Burkitts lymphoma?
1. Absence of EBV
2. T cell neoplasia
3. Deletion of C myc gene
4. Chromosome 8q24 to chromosome 14q32 translocation

Correct answer: 4. Chromosome 8q24 to chromosome 14q32 translocation

Explanation: Ans. is 'd'The c-myc gene (chromosome 8q24) involved in the entry of cells from resting G0 into the cell cycle is translocated to the mu heavy chain gene (chromosome 14q32) in most cases of Burkitt's lymphoma studied.